"Marble Bone" appearance is seen in:
1. Osteomalacia
2. Osteopetrosis
3. Rickets
4. Osteoporosis

Correct answer: 2. Osteopetrosis

Explanation: Ans. B: Osteopetrosis Osteopetrosis/marble bone disease/Albers-Schonberg disease is a disorder characterized by dense but brittle bones (marble bones)